Which of the following is not a type of hypoproliferative anemia?
1. Anemia caused by Parvovirus B19 infection
2. Anemia of chronic disease/inflammation
3. Fanconi anemia
4. G6PD deficiency

Correct answer: 4. G6PD deficiency

Explanation: Anemias can be classified into 3 broad categories based on the underlying mechanism: Hemorrhagic - Acute/Chronic blood loss Hyperproliferative/Hemolytic (increased red cell destruction) Red cell membrane disorders - Hereditary spherocytosis, etc. Enzyme deficiencies - G6PD, pyruvate kinase, etc. Hemoglobinopathies - Thalassemias, sickle cell anemia, etc. Autoimmune hemolytic anemia Hypoproliferative (decreased red cell production) Inherited bone marrow failure - Fanconi anemia, telomerase defects Nutritional deficiencies - Iron, vitamin B12, folate, etc. Erythropoietic deficiency - Renal failure, anemia of chronic inflammation Inflammation-mediated iron sequestration - Anemia of chronic inflammation Infection of red cell progenitors - Parvovirus B19 infection